Commonest site of fracture leading to fat-embolism is:
1. Tibia
2. Femur
3. Humerus
4. Ulna

Correct answer: 2. Femur

Explanation: B i.e. Femur